Which of the following statements about twinning Is true?
1. The frequencies of monozygous and dizygous are the same
2. Division after formation of the embryonic disk result in conjoined twins
3. The incidence of monozygotic twinning varies with race
4. A dichorionic twin pregnancy always denotes dizygosity

Correct answer: 2. Division after formation of the embryonic disk result in conjoined twins

Explanation: Dizygotic twins arise from fertilization of two Ova by different spermatozoa.Each twin has its own placenta,chorion and amnion. Monozygotic twins always result from splitting of a single fertilised ovum and hence always of the same sex and look alike (refer pgno:178 sheila textbook of obstetrics 2 nd edition)